The incidence of the mucocele is lowest in
1. Frontal sinus
2. Sphenoid sinus
3. Maxillary sinus
4. Ethmoid sinus

Correct answer: 2. Sphenoid sinus

Explanation: Paranasal sinus mucoceles most commonly occur in the third or fourth decades of life with a slight male predilection. The frontal sinus is most commonly affected followed by the ethmoid sinuses, with reports suggesting 70-90 % of mucoceles occur in these locations.Ten percent of mucoceles occur in the maxillary sinus and the sphenoid sinus is involved rarely.